SVC develops from:
1. Right anterior cardinal vein
2. Left anterior cardinal vein
3. Left Common cardinal vein
4. Right subcardinal vein

Correct answer: 1. Right anterior cardinal vein

Explanation: Ans. A. Right anterior cardinal veinSuperior vena cava- Developmental it consists of two parts: first and second. The first part develops from the right anterior cardinal vein caudal to the oblique transverse anastomosis. The second part develops from the right common cardinal vein.As the right common cardinal vein opens into the right horn of sinus venosus, the superior vena cava at first opens into the right horn of sinus venosus. As and when the right horn of sinus venosus is absorbed into the right atrium, the superior vena cava finally opens into the right atrium.